Fetal Hb shows high pO2 saturation compared to adult Hb because ?
1. Affinity to binding to DPG is different in fetal Hb
2. Right shift to Oxygen dissociation curve
3. Acidic environment
4. Cooperative binding

Correct answer: 1. Affinity to binding to DPG is different in fetal Hb

Explanation: Ans. is 'a' i.e., Affinity to binding to DPG is different in fetal Hb